Calculate the prevalence if incidence is 2 cases per 1000 population per year and mean duration is 4 years-
1. 8 cases per 1000 population
2. 2 cases per 1000 population
3. 0.5 cases per 1000 population
4. 32 cases per 1000 pupulation

Correct answer: 1. 8 cases per 1000 population

Explanation: .prevalence is the product of incidence and mean duration ,that is 2* 4 per 1000 population.ref:park's textbook,ed22 ,pg no 57